The rate of calculus formation can be retarded by
1. Using disclosing solutions
2. Minimizing fluoride uptake
3. Using an enzyme dentifrice
4. Having plaque removed regularly

Correct answer: 4. Having plaque removed regularly